Study unit Ecological study is:-
1. Population
2. Patient
3. Community
4. Case

Correct answer: 1. Population

Explanation: STUDY TYPE UNIT OF STUDY Cohort Individual Case Control Individual Cross Sectional Individual Ecological Population RCT Patient/Case Descriptive Population Since the unit of Ecological study is population, results cannot be applied at individual level.This is known as ECOLOGICAL FALLACY